Marker of low ovarian reserve in a premenopausal female:
1. Small antral follicle size
2. Raised LH/FSH ratio
3. Decreased inhibin A
4. Low Anti - mullerian hormone levels

Correct answer: 4. Low Anti - mullerian hormone levels

Explanation: Markers for low ovarian reserve AMH: Best marker for the ovarian reserve is the AMH. Released from small antral and pre- antral follicles <0.5 ng = Poor reserve 1ng = Borderline reserve >= 3.3 ng = high reserve , risk factor for OHSS in stimulated cycles high day 2 FSH (most commonly performed test) low inhibin B low antral follicle count: total number of antral follicles in both ovaries